All are tumor markers of HCC except
1. Neurotensin
2. AFP
3. CA - 19-9
4. PIVKA-2

Correct answer: 3. CA - 19-9

Explanation: Tumor markers PIVKA Glypican-3 AFP fractions (AFP-L3) Neurotensin Ref:Sabiston 20th edition Pgno : 1458-1463